All of the following are natural estrogens except ?
1. Estradial
2. Ethinylestradiol
3. Estriol
4. Estrone

Correct answer: 2. Ethinylestradiol

Explanation: Ans. is 'b' i.e., Ethinylestradiol o Estradial, estrone and estrial, all three are found in blood, but estradiol is the most potent estrogen.